All are true about DMPA except :
1. Failure rate of 0.3/100 WY
2. 150 mg every 3 months
3. Weight loss
4. Glucose intolerance occurs

Correct answer: 3. Weight loss

Explanation: Depomedroxyprogesterone Acetate It's a suspension of microcrystals of a synthetic progestin The regimen of 150 mg every 3 months is highly effective, producing pregnancy rates of about 0.3 per 100 women per year Women treated with DMPA experience disruption of the menstrual cycle and have initial spotting and bleeding at irregular intervals With continued administration, amenorrhea develops in 50% of women by 1 year and in 80% by 3 years Side effects: Persistent irregular vaginal bleeding Weight gain Glucose intolerance Reduction in HDL Ref: Noval and Bereks Gynecology; 15th Edition; Chapter 10